Secretors are those who?
1. Secrete enzymes in blood
2. Secrete immunoglobulin in intestine
3. Secrete blood group antigen in sweat/saliva
4. Secrete hormones in response to stress

Correct answer: 3. Secrete blood group antigen in sweat/saliva

Explanation: Ans. is'c'i.e., Secrete blood group antigen in sweat/saliva